Rigor mortis starts in -
1. Right iliac fossa
2. Left iliac fossa
3. Brain
4. Heart

Correct answer: 4. Heart

Explanation: First muscle involved in rigor mortis → Heart (myocardium)
First voluntary muscle involved in rigor mortis → Upper eyelid.